Which of the following is not true about silver sulfadiazine
1. Used in burns dressings
2. Antibacterial action against Pseudomonas
3. Has immunomodulatory action
4. Side effect is hypersensitivity reaction

Correct answer: 3. Has immunomodulatory action

Explanation: Silver sulfadiazine is the most common dressing used for burns.